What is the recommendation for bi rads 4?
1. Regular follow up
2. Tissue diagnosis
3. Short interval follow up
4. Excision

Correct answer: 2. Tissue diagnosis

Explanation: Birads IV is suspicious for malignancy. It is recommended to take tissue for biopsy.